Acanthosis involves –
1. Str spinosum
2. Str granuolosum
3. Str Basale
4. Str corneum

Correct answer: 1. Str spinosum

Explanation: Acanthosis

This term is used to describe an increase in a number of cells in the spinous cell layer or prickle cell layer of the epidermis.